Which one of this drugs doesn't have interaction with pyridoxine?
1. Isoniazid
2. Cyclosporine
3. Levodopa
4. Hydralazine

Correct answer: 2. Cyclosporine

Explanation: Pyridoxine reduces the effect of Levodopa in the treatment of parkinsonism. It is co-decarboxylase and by facilitating decarboxylation of levodopa reduces its blood level. It interacts with isoniazid and reduces the toxicity of isoniazid in slow acetylators. The hypotensive effect of hydralazine is reduced if pyridoxine is added along with it. Ref: John Parry Griffin, P. F. D'Arcy, Patrick Francis D'Arcy (1997), Elsevier Publications, In the book, "A Manual of Adverse Drug Interactions", 5th Edition, Page 367 ; KD Tripathy, 5th Edition, Pages 823 - 824